The study of disease frequency & distribution is
1. Standard deviation
2. Variance
3. Epidemiology
4. Survey

Correct answer: 3. Epidemiology